Human papillomavirus is most commonly associated with
1. Rectal polyps
2. Prostate cancer
3. Condyloma acuminatum
4. Hepatic carcinoma

Correct answer: 3. Condyloma acuminatum

Explanation: Papillomavirus infects the skin or mucosa and causes benign tumors. The lesion is termed condyloma acuminatum. These tumors may undergo malignant conversion and become squamous cell carcinomas. Classification of the human papillomavirus is done by DNA hybridization, and to date 46 types have been recognized. Some types, such as 16 and 18 are more frequently associated with carcinoma, while others, such as 6 and 11, are associated with benign tumors or was.